Sentinel lymph node biopsy in carcinoma breast is done if -
1. LN palpable
2. Breast mass but no lymph node palpable
3. Breast lump with palpable axillary node
4. Metastatic CA breast

Correct answer: 2. Breast mass but no lymph node palpable

Explanation: Ans. is 'b' i.e., Breast mass but no lymph node palpable